Dr. Taggart is associated with
1. Discovery of Ceramics
2. Lost wax technique
3. Acid etch technique
4. Bleaching procedures

Correct answer: 2. Lost wax technique